Following a fracture of the humerus, which of the following is responsible for producing the majority of the new bone that will reunite the two fragments?
1. Cancellous bone
2. Cartilage
3. Compact bone
4. Periosteum

Correct answer: 4. Periosteum

Explanation: When the periosteum is torn during a fracture, it supplies cells that develop into osteoblasts and are the major producers of the new bone that reunites the two ends.